Anterior fontanelle ossifies by:
1. 6 months
2. 12 months
3. 18 months
4. 24 months

Correct answer: 3. 18 months

Explanation: Ans. C i.e. 18 months Its pathological if anterior fontanelle fails to ossify by 24 months